Drug of choice for resistant Schizophrenia
1. Olanzapine
2. Haloperidol
3. Clozapine
4. ECT

Correct answer: 3. Clozapine

Explanation: Clozapine is the drug of choice for resistant Schizophrenia.